Smell of burnt rope due to poisoning with:
1. Aluminum phosphide
2. Cannabis
3. Arsenic
4. Cyanide

Correct answer: 2. Cannabis

Explanation: Ans. Cannabis